Corpus striatum includes all except
1. Caudate nucleus
2. Putamen
3. Globus pallidus
4. Amygdala

Correct answer: 4. Amygdala

Explanation: The corpus striatum, which is partially divided by the internal capsule into two nuclei: (a) The caudate nucleus; and (b) the lentiform nucleus. These two nuclei are interconnected by a few bands of grey matter below the anterior limb of the internal capsule. The bands give it a striped appearance, hence the name.The lentiform nucleus is divided into a lateral part, the putamen, and a medial part, the globus pallidus. The caudate nucleus and putamen (neostriatum) are often grouped as the striatum, whereas the globus pallidus (paleostriatum) is the pallidum.The amygdaloid body forms a part of the limbic system.Ref: BD Chaurasia; Volume 3; 6th edition; Brain; Page no: 358